True regarding carcino embroyonic antigen are A/E-
1. Is a glycoprotein
2. Helps in knowing recurrence after resection
3. Increases in Ca colon associated with only liver metastasis
4. Usually associated with malignancies of GI tract

Correct answer: 3. Increases in Ca colon associated with only liver metastasis

Explanation: Ans. is 'c' i.e., Increase in Carcinoma colon associated with only liver metastasis o Carcino embryonic antigen elevation occurs in about 70% of patients of colon carcinoma. It has got no relation with hepatic metastasis.